Fisch's physiological bottleneck (narrowest part) is present in which part of VII N
1. Labyrinthine segment
2. Geniculate ganglion
3. Horizontal segment
4. Mastoid segment

Correct answer: 1. Labyrinthine segment